A child with complaints of cough. Characteristic 'inspiratory whoop. Sample for investigation is –
1. Nasopharyngeal swab
2. Tracheal aspiration
3. Cough plate culture
4. Sputum culture

Correct answer: 1. Nasopharyngeal swab

Explanation: "Culture of nasopharyngeal secretion remains the gold standard for diagnosis of whooping cough" - Harrison